Postganglionic fibres to parotid gland is supplied by:
1. Glossopharyngeal nerve
2. Auriculotemporal nerve
3. Both of the above
4. None of the above

Correct answer: 2. Auriculotemporal nerve

Explanation: Preganglionic nerves travel in the lesser petrosal branch of the glossopharyngeal nerve and synapse in the otic ganglion. Postganglionic fibres reach the gland the auriculotemporal nerve.Ref: Gray's anatomy 40th edition, Chapter 29.